Renal transplantation is an example of?
1. Xenograft
2. Heterograft
3. Isograft
4. Allograft

Correct answer: 4. Allograft

Explanation: Allograft REF: Bailey and love 24th ed p. 184 Allotransplantation (alto- from the Greek meaning "other") is the transplantation of cells, tissues, or organs, to a recipient from a (genetically non-identical) donor of the same species.The transplant is called an allograft or allogeneic transplant or homograft. Most human tissue and organ transplants are allografts. An Isograft is a graft of tissue between two individuals who are genetically identical (i.e. monozygotic twins). Transplant rejection between two such individuals virtually never occurs. Xenotransplantation (xenos- from the Greek meaning "foreign"), is the transplantation of living cells, tissues or organs from one species to another